MC cause of hirsutism in females is:
1. Androblastoma
2. Luteoma of ovary
3. Adrenal hyperplasia
4. Stein Leventhal syndrome

Correct answer: 4. Stein Leventhal syndrome

Explanation: Ans. D i.e. Stein Levnethal syndrome